Which of the following are common physiological problems in neonates:
1. Erythema toxicum
2. Transitional stools
3. Mongolian spots
4. All of the above

Correct answer: 4. All of the above

Explanation: Ans. D. All of the aboveNeonates may have minor physiological peculiarities which are of no serious consequences. These include(i) Regurgitation of milk (most neonates take out small amount of curdled milk soon after feed. Child is usually active and vomitus is never yellow or green colour)(ii) Transitional stools: It is the transition from meconium to the yellow homogenous stool of a breastfed infant and is physiological(iii) Erythema toxicum: The rash usually appears on 2nd or 3rd day of life. It is scattering of erythema macules, papules and even vesicles. It occurs commonly over trunk, face and extremities and palms and soles are spared.(iv) Mongolian spots: They are pigmented lesions found at birth. The area most commonly involved is the lumbosacral region, but occasionally in the upper back, arms, buttocks and legs may be involved.(v) Neonatal Jaundice: Jaundice is common physical finding (manifesting as yellowness of the skin of the face) when serum bilirubin exceeds 5mg/dl during the first week of life. As the degree of jaundice increases, there is cephalocaudal progression. Jaundice should be considering non - physiological if it has appeared within 24 hours of age, stains palms or soles or persists beyond 10-14 days.